Teeth that erupt within 30 days of birth are called:
1. Neonatal
2. Natal
3. Primary
4. Prenatal

Correct answer: 1. Neonatal